Nevirapine is :
1. Non–nucleoside reverse transcriptase inhibitor (NNRTI)
2. Nucleoside reverse transcriptase inhibitor (NRTI)
3. Protease inhibitor
4. Fusion inhibitor

Correct answer: 1. Non–nucleoside reverse transcriptase inhibitor (NNRTI)